An inflammatory process in the temporal bone has resulted in a swelling of the facial nerve within the facial canal. Which muscle may be paralyzed as a result of this compression?
1. Anterior belly of the digastrics
2. Geniohyoid
3. Stapedius
4. Stylopharyngeus

Correct answer: 3. Stapedius

Explanation: Stapedius